Effective ulcer treatment that works by inhibitory action on gastric acid secretion is ?
1. Lactulose
2. Aluminium hydroxide
3. Sucralfate
4. Ranitidine

Correct answer: 4. Ranitidine

Explanation: Ans. is 'd' i.e., Ranitidine o Among the given options, only ranitidine decreaes acid secretion.